DMPA causes all the following EXCEPT:
1. Weight gain
2. Irregular cycles
3. Amenorrhoea
4. Thromboembolism

Correct answer: 4. Thromboembolism

Explanation: Ans. D. ThromboembolismDraw backs of DMP A is - frequent irregular menstrual bleeding, spotting and amenorrhoea are common, weight gain.